Tanaka Johnson Includes:
1. Use of radiographs
2. Use of charts/tables
3. Use of both
4. Use of none

Correct answer: 4. Use of none

Explanation: Tanaka Johnson Analysis

Based on regression equation
Used for size prediction of unerupted canines and premolars in contemporary orthodontic population